Most common organism causing osteomyelitis:
1. Staph Aureus
2. Strep pneumonia
3. H. Influenza
4. E. coli

Correct answer: 1. Staph Aureus

Explanation: Ans. (a) Staph AureusRef: Maheshwari 5th ed. /168Note that responsible pathogens may be isolated in only 35- 40% of infections. Bacterial causes of acute hematogenous and direct osteomyelitis include the following:* Most common organism causing acute osteomyelitis: Staph. Aureus* MCC of osteomyelitis in sickle cell anemia patient: SALMONELLA* MCC of osteomyelitis in IV drug abuser: PSEUDOMONAS* MC organism causing osteomyelitis in open foot injury: PSEUDOMONAS* MC organism causing osteomyelitis in HIV patient: Staph. Aureus* MC organism causing osteomyelitis in case of animal bite: Pasteurella Multiocida* MC organism causing osteomyelitis in case of human bite: Eikenella Corrodens